Local anesthetic with highest local tissue irritancy is
1. Procaine
2. Chloroprocaine
3. Lignocaine
4. Bupivacaine agents

Correct answer: 4. Bupivacaine agents